Which is the most frequent cause for Budd chiari syndrome?
1. Hepatic vein thrombosis
2. Portal vein thrombosis
3. Malignancy
4. Valves in hepatic veins

Correct answer: 1. Hepatic vein thrombosis

Explanation: The Budd-Chiari syndrome results from the thrombosis of one or more major hepatic veins and is characterized by hepatomegaly ascites, and abdominal pain. All hypercoagulable states cause an increased risk of Budd chain's syndrome. Hepatic vein thrombosis is associated with myeloproliferative disorders (especially polycythemia vera), pregnancy, the postpartum state, the use of OCPs, paroxysmal nocturnal hemoglobinuria, and intra-abdominal cancers, particularly hepatocellular carcinoma.